All are causes of intrauterine growth retardation except :
1. Severe Anemia
2. Pregnancy Induced hypertension
3. Maternal heart disease
4. Gestational diabetes

Correct answer: 4. Gestational diabetes

Explanation: Intrauterine growth retardation refers to those fetuses that have failed to achieve their genetic growth potential Fetal causes There is enough substrate in the maternal blood and also crosses the placenta but is not utilized by the fetus. Chromosomal abnormality- 8-12% Congenital malformation Congenital infection s-TORCH Placental causes Include poor uterine blood flow to the placental site for a long time. Preeclampsia Placenta previa,Abruption Circumvallate ,Infarction and Mosaicism Multiple pregnancies Maternal causes Poor maternal weight gain and undernutrition Severe anemia Congenital cyanotic heart disease. Chronic renal disease Collagen vascular disease TEXT BOOK OF OBSTETRICS,Sheila Balakrishnan,2nd edition,page no.201and DC Dutta' s Textbook of Obstetrics ,9th edition ,page 432